The tympanic note on percussion in traube's space on chest wall is due to which underlying
1. Base of lung
2. Fundus of stomach
3. Left costo-diaphragmatic recess
4. Left sub phrenic space

Correct answer: 2. Fundus of stomach

Explanation: Tympanic note in traube's space on percussion is due to fundus of stomach . Ref - researchgate.net